Oseltamivir is ?
1. Neuramindase inhibitor
2. Neuramindase activator
3. Carboxylase inhibitor
4. Carboxylase activator

Correct answer: 1. Neuramindase inhibitor

Explanation: Ans. is 'a' i.e., Neuramindase inhibitor Oseltamivir and zanamivir are neuraminidase inhibitors and prevent the virion release by causing clumping of mature virions. Both these drugs are active against influenza 'A' as well as influenza 'B' virus. Oseltamivir is a prodrug and is used orally. Zanamivir is used intranasally - can cause bronchospasm.